During insipiration the main current of airflow in a normal nasal cavity is through
1. Middle part of the cavity in middle meatus in a parabolic curve
2. Lower part of the cavity in the inferior meatus in a parabolic curve
3. Superior part of the cavity in the superior meatus
4. Through olfactory area

Correct answer: 1. Middle part of the cavity in middle meatus in a parabolic curve

Explanation: * During quite respiration inspiratory air current pass through middle part of the nose between the turbinatcs and nasal septum. * Very little air passes through inferior meatus or olfactory region of the nose. * Therefore weak odorous substances have to be sniffed before they reach olfactory area. * During expiration air current follows the same course as during inspiration but the entire air current is not expelled directly through the nares. * Friction offered at lumen nasi converts it into eddies under cover of inferior and middle turbinates and this ventilates the sinuses through the Ostia